Minor clinical feature in diagnosis of atopic dermatitis A/E
1. Dry skin
2. Pruritus
3. Morgagnian fold
4. Pitriasis alba

Correct answer: 2. Pruritus

Explanation: B i.e. Pruritis